Most sensitive screening test in diabetic mothers for congenital malformation is:
1. MS AFP
2. Blood glucose
3. Amniotic fluid AFP
4. HbA1C (Glycosylated hemoglobin)

Correct answer: 4. HbA1C (Glycosylated hemoglobin)

Explanation: Ans. is d, i.e. Hb A1C (Glycosylated hemoglobin)Ref. Dutta Obs. 7/e, p 284Best screening test for congenital malformations: Hb A1c Best test to detect congenital malformations: TVS